The best graphic representation of frequency distribution of data gathered of a continuous variable is -
1. Simple bar graph
2. Multiple bar
3. Line diagram
4. Histogram

Correct answer: 4. Histogram

Explanation: Ans. is`d' i.e. Histogram